A 35 year old female presents to OPD with complaints of fatigue and weakness. She has had decreased appetite, weight loss, and severe light-headedness upon standing. Vital signs show a heart rate of 88 bpm, respiration rate of 18 breaths per minute, and temperature of 37.2deg C. The exam is remarkable for pigmentation of the oral mucosa, proximal muscle weakness of the lower extremities, and hyperpigmentation of the palmar creases, knuckles and knees. What is the most likely diagnosis?
1. Adrenal insufficiency
2. Depression
3. Anorexia with surreptitious diuretic use
4. Hypothyroidism

Correct answer: 1. Adrenal insufficiency

Explanation: Hyperpigmentation of Oral mucosa: ADDISON'S disease ( Primary Addison's disease) Primary ADDISON'S disease Feature of BRADYCARDIA should be present Here the Primary Addison's disease may be d/t Auto immune TB Secondary Addison's disease- Doesn't have hyperpigmentation DOC in this case:HYDROCORTISONE * To stabilize BP: FLUDROCORTISONE * To stabilize Hypoglycemic condition- DEXAMETHASONE